Most common tumor to extend from intracranial to orbit is –
1. Astrocytoma
2. Pituitary adenoma
3. Craniopharyngioma
4. Sphenoidal wing meningioma

Correct answer: 4. Sphenoidal wing meningioma

Explanation: "Meningiomas are the most common intracranial tumor to extend to the orbit".......... Ophthalmic oncology

Meningiomas commonly arise from the dura of sphenoid wing, i.e. sphenoid wing meningioma.